Corticosteroids are potent suppressors of the body’s inflammatory response. Which of the following conditions or actions do they suppress?
1. Cushing syndrome
2. Pain receptors
3. Immune response
4. Neural transmission

Correct answer: 3. Immune response

Explanation: Option C: Corticosteroids suppress eosinophils, lymphocytes, and natural killer cells, inhibiting the natural inflammatory process in an infected or injured part of the body.
Option A: Excessive corticosteroid therapy can lead to Cushing’s syndrome.
Options B and D: Corticosteroids do not suppress the pain receptors and neural transmission.